Pulmonary embolism causes all except?
1. Bradycardia
2. Decreased cardiac output
3. Arterial hypoxemia
4. Acute right ventricular strain

Correct answer: 1. Bradycardia

Explanation: Pulmonary embolism - leads to right sided CHF - leads to Resultant tachycardia, with normal to low blood pressure and not bradycardia Other features of PE:- - | cardiac output - Arterial hypoxaemia - Acute Rt. ventricular strain - | JVP